True statement about Minipill is :
1. Irregular vaginal bleeding may be a side effect
2. Used in with combination with oral contraceptive pills
3. Can not be used in lactation
4. Prevents ectopic pregnancy

Correct answer: 1. Irregular vaginal bleeding may be a side effect

Explanation: Ans. is a i.e. Irregular vaginal bleeding may be side effect I have already discussed Minipil/Progesterone only pill/Lactation pill/Estrogen free pill in detail in Kindly read the details from there. Here I would like to mention the effect of Minipill on Ectopic pregnancy. "Ectopic pregnancy is not prevented as effectively as Intrauterine pregnancy. Although the overall incidence of ectopic pregnancy is not increased, When pregnancy occurs (with minipill use) the clinician must suspect that it is more likely to be ectopic. A previous ectopic pregnancy should not be regarded as a contraindication to the minipill." Also Know : Main side effect of Minipill : Irregular bleeding and amenorrhea. Women on progestin only contraceptive develop more functional ovarian follicular cyst (Most of them regress after minipill is stopped). Minipill are associated with acne, anxiety, headache, dizziness, backache and hair loss. Progestin only pills are associated with a 3 fold increased risk of diabetes mellitus in lactating women with recent Gestational diabetes. There is no indication of increased risk of stroke, MI or venous thromboembolism with progestin only pills. There is no impact on Coagulation system. Minipill is a good alternative for the occasional women who report diminished libido on combination oral contraceptives, presumably due to decreased androgen level.